The basic constituent of reversible hydrocolloid impression material is:
1. Agar
2. Alginic acid
3. Gelatin
4. Alginate

Correct answer: 1. Agar

Explanation: Composition
Agar, a polysaccharide extracted from certain types of seaweed, is the main active ingredient in the material, while water is the major constituent in the agar impression material. A small percentage of borax is added to strengthen the gel. Since borax is a potent retarder for the setting of gypsum, an accelerator such as potassium sulfate is added to counteract the effect of borax.